Which of the following is not a renal vasoconstrictor?
1. Norepinephrine
2. Acetylcholine
3. Angiotensin II
4. None of the above

Correct answer: 2. Acetylcholine

Explanation: Norepinephrine (noradrenaline) constricts the renal vessels, with the greatest effect of injected norepinephrine being exerted on the interlobular arteries and the afferent arterioles. Dopamine is made in the kidney and causes renal vasodilation and natriuresis. Angiotensin II exerts a constrictor effect on both the afferent and efferent arterioles. Prostaglandins increase blood flow in the renal cortex and decrease blood flow in the renal medulla. Acetylcholine also produces renal vasodilation. A high-protein diet raises glomerular capillary pressure and increases renal blood flow. Ref: Ganong's Review of Medical Physiology 23rd edition, Chapter 38.